All the following are peptide based except ?
1. ACTH
2. GnRH
3. Thyroxin
4. TRH

Correct answer: 3. Thyroxin

Explanation: Ans. is 'c' i.e., Thyroxin